Nerve of pterygoid canal is :
1. Sympathetic + Lesser petrosal nerve
2. Sympathetic + greater superficial petrosal nerve
3. Chorda Tympani
4. Jacobson's nerve

Correct answer: 2. Sympathetic + greater superficial petrosal nerve

Explanation: B i.e. Sympathetic + greater superficial petrosal nerve